All are true about duodenal diverticula except:
1. Whenever found, should be treated due to increased risk of complications
2. Most common site is periampullary region
3. Can cause acute pancreatitis
4. Most are asymptomatic

Correct answer: 1. Whenever found, should be treated due to increased risk of complications

Explanation: Duodenal diverticula: 2nd m/c site of diverticula formation after colon Majority of patients asymptomatic Most of diverticula are in Peri-ampullary region in close relation with Bile duct and pancreatic duct. Clinical manifestation: Cholangitis - Due to compression of Bile duct Pancreatitis - Due to compression of pancreatic duct Diagnosis Diagnosis by endoscopy or by plain abdominal films showing an a typical gas bubble Treatment Asymptomatic, found incidentally: No treatment MC and most effective treatment for symptoms or complications: Diverticulectomy